Which of the following is true about obstructive azoospermia?
1. | FSH and | LH
2. Normal FSH and normal LH
3. | LH, Normal FSH
4. | FSH, Normal LH

Correct answer: 2. Normal FSH and normal LH

Explanation: Ans. is b, i.e. Normal FSH and normal LHIn obstructive azoospermia, there is some obstruction due to which the sperms are absent in semen. Now since pituitary is normal hence LH, FSH levels will be normal, and since testis is normal so testosterone will be normal.